HIV cases are reported from all over word. This is
1. Endemic
2. Hyperendemic
3. Pandemic
4. Sporadic

Correct answer: 3. Pandemic